Commonest type of mesentric cyst is
1. Enterogenous
2. Chylolymphatic
3. Dermoid
4. Urogenital remnant

Correct answer: 2. Chylolymphatic